Confirmatory test for HIV infection is a:
1. ELISA
2. Immunodot
3. RIPA
4. Western Blot

Correct answer: 4. Western Blot